A newborn baby has a head circumference of 35 ems. at birth, His optimal head circumference will be 43 ems at -
1. 4 months of age
2. 6 months of age
3. 8 months of age
4. 12 months of age

Correct answer: 2. 6 months of age

Explanation: Ans. is 'b' i.e., 6 months of age o At 6 month of age head circumference is between 40.0-43.5cm.